Burkitt's lymphoma is associated with the proliferation of
1. T- cell
2. B — cell
3. Lymph vessels
4. Lymph nodes

Correct answer: 2. B — cell